SADE classification is for
1. Rectraction of pars Tensa of Tympanic membrane
2. Rectraction of Pars Flaccida of Tympanic membrane
3. Tympanosclerosis
4. Perforation of Tympanic membrane

Correct answer: 1. Rectraction of pars Tensa of Tympanic membrane

Explanation: Sade classification: Retraction of Pars Tensa.
Tos classification: Retraction of Pars Flaccida